All are features of hyperparathyroidism except?
1. Increase serum calcium
2. Decreased serum phosphate
3. Diarrhea
4. Nephrocalcinosis

Correct answer: 3. Diarrhea

Explanation: Hyperparathyroidism leads to increase PTH. PTH increases serum calcium by increasing dietary absorption of vitamin D3. It also ensures that the proximal convoluted tubule start losing phosphate in urine leading to decreased serum phosphate. The increase in serum calcium leads to deposition of calcium in kidney parenchyma forming calcium phosphate stones. The increased level of calcium also leads to constipation. Therefore severe abdominal pain is a feature of hyperparathyroidism. Renal Colic is due to stones and severe constipation. Diarrhea is not seen with hypercalcemia/hyperparathyroidism.